Dentigerous cyst arises from-
1. An unerupted tooth
2. Apex of an infected tooth
3. Nasopalatine cysts
4. Solitary bone cyst

Correct answer: 1. An unerupted tooth